True about ureter:
1. Starts at the hilum
2. Changes its direction at the ischial spine.
3. Penetrates the bladder wall without any valve.
4. All

Correct answer: 4. All

Explanation: A i.e. Starts at hilum; B i.e. Changes its direction at the ischial spine; C i.e. Penetrate the bladder wall without any valve